The net reproduction rate of 1 can be achieved only if the following rate exceeds 60%-
1. Total fertility rate
2. Total marital fertility rate
3. Age-specific marital fertility rate
4. Couple protection rate

Correct answer: 4. Couple protection rate

Explanation: Park's textbook of preventive and social medicine 23rd edition. * Demographers are of view that demographic goal of NRR=1 can be achieved only if CPR exceeds 60%.